A 3-year-old male patient presents with a clinically significant atrial septal defect (ASD). The ASD usually results from incomplete closure of which of the following structures?
1. Foramen ovale
2. Ligamentum arteriosum
3. Ductus arteriosus
4. Sinus venarum

Correct answer: 1. Foramen ovale

Explanation: An atrial septal defect (ASD) is a communication between the right and left atria. In the formation of the partition between the two atria, the opening in the foramen secundum, also known as the foramen ovale, typically closes at birth. If it remains patent, an ASD will result. The rest of the structures are not associated with atrial septal defects.